Serum sickness is which type of reaction?
1. Type-1 hypersensitivity
2. Type -2 hypersensitivity
3. Type -3 hypersensitivity
4. Type -4 hypersensitivity

Correct answer: 3. Type -3 hypersensitivity

Explanation: Ans. is 'c' i.e., Type -3 hypersensitivity Type ni (IgG IgM. complement and leucocyte mediated)o Local-Arthus reactiono Systemic-serum sicknesso Schick testo Polyarteritis nodosa (PANo Rheumatoid arthritisoSLEo Acute viral hepatitiso Penicillamine toxicityo Hyperacute graft rejectiono Type 2 lepra reaction (ENL)o Hypersensitivity pneumonitiso R.Ao Infective endocarditiso Henoch schonlein purpurao Glomerulonephritis